A child presented with a history of unilateral purulent nasal discharge with occasional bloody discharge from the same side, The diagnosis is -
1. Antrochoanal polyp
2. Foreign body
3. Angiofibroma
4. Rhinosporidiosis

Correct answer: 2. Foreign body

Explanation: Unilateral purulent nasal discharge with occasional bloody discharge in a child is highly suggestive of foreign body.
Antrochoanal polyp does not cause bloody discharge.
Angiofibroma most commonly presents with nasal obstruction and epistaxis (not purulent nasal discharge).
Rhinosporidiosis presents most commonly with polypoid mass.